Laboratory monitoring of which of the following is desirable with low molecular weight heparin therapy in a patient with renal failure?
1. aPTT
2. CT
3. PT
4. Anti-factor Xa activity

Correct answer: 4. Anti-factor Xa activity

Explanation: LMW heparin and fondaparinux have long half lives and consistent SC absorption; therefore do not require monitoring and once daily SC doses are sufficient. Patients with end stage renal failure and morbid obesity may require monitoring with anti-factor Xa assay.